Richard Hanhart syndrome is caused by defective metabolism of:
1. Lysine
2. Arginine
3. Tyrosine
4. Glycine

Correct answer: 3. Tyrosine

Explanation: Following transamination, the carbon skeleton of tyrosine is degraded to fumarate and acetoacetate. Metabolic diseases of tyrosine catabolism include tyrosinosis, Richner-Hanhart syndrome, neonatal tyrosinemia, and alkaptonuria. Ref: Harper 28th edition, chapter 29.